A 2-year-old child presented with recurrent pain abdomen, failure to thrive and iron deficiency anemia refractory to Iron therapy. His anti TTG anti-body titres were 300 U/L. An upper GI endoscopy was done and duodenal biopsy was taken which showed the following. What is the diagnosis?
1. Crohn disease
2. Hirschsprung disease
3. Celiac disease
4. Congenital lactase deficiency

Correct answer: 3. Celiac disease

Explanation: Intestinal biopsy showing villous atrophy, crypt hyperplasia, intraepithelial lymphocytic infiltration in the given case scenario, suggest a diagnosis of Celiac disease